Secretomotor fibres of parotid gland passes througha) Auricular temporal nerveb) Lesser petrosal nervec) Deep petrosal nerved) Otic ganglion
1. acd
2. bcd
3. abd
4. ab

Correct answer: 3. abd